Pulsatile tinnitus in ear is due to:
1. Malignant otitis media
2. Osteoma
3. Mastoid reservoirs
4. Glomus jugulare tumour

Correct answer: 4. Glomus jugulare tumour

Explanation: (d) Glomus jugulare tumour(Ref. Scott Brown, 8th ed., Vol 2 page 1283)For the tinnitus to be pulsatile the cause has to be vascular. Vascular causes to tinnitus are Glomus jugulare and internal carotid aneurysms.